The most common malignancy that produces ichthyosis?
1. Hodgkin's disease
2. Mycosis fungoides
3. Kaposi's sarcoma
4. Carcinoma breast

Correct answer: 1. Hodgkin's disease